Hypoparathyroidism is seen in all of the following except
1. DiGeorge syndrome
2. Chronic renal failure
3. Wilson's disease
4. Haemochromatosis

Correct answer: 2. Chronic renal failure